A patient presents at 28 weeks gestation with severe abdominal pain, bleeding and hypertension. The most likely diagnosis is :
1. Placenta previa
2. Accidental hemorrhage
3. Vasa previa
4. Rupture of ectopic pregnancy

Correct answer: 2. Accidental hemorrhage

Explanation: Accidental hemorrhage